Perthe's disease is treated by -
1. High dose of calcium with steroids
2. Total hip replacement
3. Supervised containment of femoral head in acetabulum
4. Relieving weight bearing

Correct answer: 3. Supervised containment of femoral head in acetabulum

Explanation: The head is required to be kept inside the acetabulum while the revascularisation takes place (head containment).
This may be achieved by conservative methods (plaster, splint etc) or by operation (containment osteotomy).